All the following statements about atrial myxomas are true, except
1. Most common site is left atrium
2. Most common in young individuals
3. Distance metastasis are rare
4. Most myxomas are familial

Correct answer: 4. Most myxomas are familial

Explanation: Ref Harrison 19 th ed pg 1577:289e-1 In contrast to sporadic tumors, familial or syndromic tumors tend to occur in younger individuals, are often multiple, may be ventricular in location, and are more likely to recur after initial resection.